Vestibule of vagina is derived from?
1. Genital ridge
2. Wolffian duct
3. Mullerian duct
4. Urogenital sinus

Correct answer: 4. Urogenital sinus

Explanation: The vulval vestibule (or vulvar vestibule or vestibule of vagina) is a part of the vulva between the labia minora into which the urinary meatus (urethral opening) and the vaginal opening open. Its edge is marked by Hart's line. It represents the distal end of the urogenital sinus of the embryo